Regarding yaws, all are true except -
1. Caused by T. Pertenue
2. Sexually transmitted
3. Croos active antibodies with syphilis
4. Drug of choice is penicillin

Correct answer: 2. Sexually transmitted

Explanation: Yaws is a chronic contagious non veneral disease. Reference; Park's Textbook of preventive and social medicine, 24th edition.Pg no. 359